Distal interphalangeal joints are involved in all except ?
1. Psoriatic arthritis
2. Rheumatoid arthritis
3. Reactive arthritis
4. Osteoarthritis

Correct answer: 2. Rheumatoid arthritis

Explanation: Ans. is 'b' i.e., Rheumatoid arthritis